Which of the following is false regarding isoenzymes?
1. They differ in tissue localization
2. Catalyze the same reaction
3. Can be supported by electrophoresis
4. Isoenzymes have same Km values.

Correct answer: 4. Isoenzymes have same Km values.

Explanation: Each isoenzyme has varying affinity towards substrate and hence different Km values.